The most important sign of defloration is :
1. Enlarged nipple
2. Dilation of vaginal canal
3. Enlarged breasts
4. Ruptured Hymen

Correct answer: 4. Ruptured Hymen

Explanation: D i.e. Ruptured hymen